Prevalence of disease will decrease in all of the following scenarios, except:
1. Immigration Of Cases
2. If case-fatality rate is high
3. Lack Of Advanced Diagnostic Services At Centres
4. Advanced Treatment Modalities Are Available

Correct answer: 1. Immigration Of Cases